Cells as they approach towards stratum corneum shows the following features
1. Cells become flat and dehydrated
2. Nucleus lost
3. Loss of mitotic and metabolic activity
4. All of the above

Correct answer: 4. All of the above

Explanation: Stratum corneum It is the outer most layer, which serves as a mechanical barrier between the epidermis and the environment. It is Composed primarily of protein-rich corneocytes ("bricks"; contain NO nuclei; keratin filaments attached to cornified envelope) embedded in a lipid matrix ("mortar," cornified lipid envelope). It Serves as a barrier to water loss (conditions that peurb the skin |transepidermal water loss) and toxins/infectious agents. Ref:- Review of Dermatology by Alikhan; pg num:-5